Biological oxygen demand is calculated to know wastes -
1. Organic
2. Inorganic
3. Total solid
4. None

Correct answer: 1. Organic

Explanation: Ans. is 'a' i.e.. Organic